Measles vaccination is given at age of
1. 10 weeks
2. 9 months
3. 14 weeks
4. 6 months

Correct answer: 2. 9 months

Explanation: Ans) b (9 months) Ref Park 20th ed p 113Another simple question. Just go through the Indian national immunization schedule:a) For infants At birthBCG and OPV - 0 doseAt 6 weeksBCG (if not given at birth) DPT-1 and OPV-1At 10 weeksDPT-2 and OPV-2At 14 weeksDPT-3 and OPV-3At 9 monthsmeaslesb) At 16-24 months-DPT and OPVc) 5- 6 years- DT The second dose of DT should be given at an interval of one month if there is no clear history or documented evidence of previous immunization with DPTd) At 10 and 16 years- TT. The second dose of TT should be given at an interval of one month if there is no clear history or documented evidence of previous immuniza tion with DPT, DT, or TT vaccinese) For pregnant women-early in pregnancy- TT-1 or Booster one month after TT-1, TT-2Resveratrol, a phytoalexin, and Curcumin the natural yellow pigment in turmeric elicit striking inhibitory effects on diverse cellular events associated with the process of carcinogenesis.Lycopene, a carotenoid present in tomatoes is a powerful quencher of singlet oxygen. Epidemiological evidence strongly suggests that lycopene consumption and tomato products contribute to prostate cancer risk reduction.Kolaviron, a natural biflavonoid antioxidant has been extensively investigated for it hepatoprotective, radical scavenging and antigenotoxic properties in vitro and in vivo.Preventative anticarcinogens act by enhancing an organism's natural defences against cancer, by deactivating carcinogens or by blocking the mechanisms by which carcinogens act (such as free radical damage to DNA).Anticarcinoma agents participate in the selective destruction of cancer cells, or inhibit the growth and proliferation of cancer cells.There is epidemiological evidence that a diet rich in antioxidant vitamins andflavonoids is anticarcinogenic.Interest in many popular nutritional supplements, including essential antioxidant nutrients such as selenium compounds and hormones such as melatonin and DHEA, is partly motivated by evidence that these have significant anticarcinogenic effects in appropriate quantities. The major psychoactive component in marijuana, tetrahydrocannabinol, has been shown to have anticarcinogenic activity.